The function of oligodendrocyte is -
1. Myelinates the CNS
2. Nutrition of nervous tissue
3. Lining the cavities of the CVS
4. Behave like macrophages

Correct answer: 1. Myelinates the CNS

Explanation: The principal function of oligodendrocytes is the production and maintenance of myelin in CNS - Robbins

Myelination in Central nervous system → Oligodendrocytes
Myelination in Peripheral nervous system → Schwann cells